Aspirin is associated with –
1. Reye's Syndrome
2. Sjogren Syndrome
3. Reiter Syndrome
4. None of above

Correct answer: 1. Reye's Syndrome